Trendelenburg test if perform mainly to assess the integrity of:
1. Gluteus maximus
2. Gluteus Medius
3. Gluteus minimus
4. All of above

Correct answer: 2. Gluteus Medius

Explanation: Ans. B. Gluteus MediusTrendelenburg test is performed to assess the integrity of the abductor mechanism of the hip joint. The Abductors of the hip includes Gluteus medius and minimus. As only one answer is expected, the bigger muscle, medius is the answer. If multiple answers are asked, then the answer would be B & C.